'Snow-banking' is seen in
1. Pars planitis
2. Endophthalmitis
3. Eale's disease
4. Coat's disease

Correct answer: 1. Pars planitis

Explanation: Ans. a (Pars planitis) (Ref Ophthalmology by Basak 4th/213; Khurana ophthalmology 4th/160; 233)PARS PLANITIS (PP)# Subset of idiopathic Intermediate Uveitis in which there is snowbanking or snowball formation.# A chronic, bilateral, intermediate uveitis that may have a mild anterior reaction# Etiology unknown (Virus/? Autoimmune reaction to the vitreous).# Occurs in a healthy population, although MS has been associated with 8-16% of cases.C/f:# Onset usually late teens to early adulthood (mean age ~26)# Symptoms include cloudy vision and floaters; minimal discomfort# Typical signs are mild AC reaction, vitreous cells, and "snowbanking" inferiorly# Other findings include:- POAG (15%); Plebitis (17%); CME (68%); ERM (48%), and Peripapillary edema (17%).Course# Occurs in both males and females# No environmental or hereditary factors known# Seems to be most common in Caucasians# Chronic and recurrent in natureAncillary tests# Dx by full examination with scleral depression# IVFA (and/or OCT) to confirm retinal neovascularization and CME# Exclude treatable diseases such as: Syphilis, Sarcoid, Lyme Disease or TB.Rx:# Treat if VA is < 20/40 with CME- Topical NSAID's (ie, ketorolac, nepafenac), Topical steroids, SC and IV injection of steroids- Acetazolamide sequals, Oral steroids, Vitrectomy# CAT extraction required in -20% of patients.